Vessels in umbilical cord:
1. 1 artery, 2 vein
2. 2 arteries, 1 vein
3. 1 artery, 1 vein
4. 2 arteries, 2 vein

Correct answer: 2. 2 arteries, 1 vein

Explanation: Ans. (b) 2 arteries, 1 veinRef: LB. Singh 9th ed./159"Remember 2AV"* Umbilical cord is the structure which connects mother to fetus and acts as a bridge for transfer of blood and other nutrients from mother to baby.* It contains 2 arteries and one vein. Arteries carry deoxygenated blood from fetus to mother while vein carry oxygenated blood from mother to fetus.* Cord contains whartons jelly and structures embedded in this are:# 2 arteries and 1 vein# Allantois and# remains of vitellointestinal duct